Exfoliative toxin A which causes generalized desquamation is secreted by the following:
1. Staphylococci
2. Streptococci
3. Pneumococcus
4. Pseudomonas

Correct answer: 1. Staphylococci

Explanation: Exfoliative toxins are epidermolytic toxins of S aureus are two distinct proteins of the same molecular weight. Exfoliative toxin A is encoded by eta located on a phage and is heat stable (resists boiling for 20 minutes). Exfoliative toxin B is plasmid mediated and heat labile. These epidermolytic toxins yield the generalized desquamation of the staphylococcal scalded skin syndrome by dissolving the mucopolysaccharide matrix of the epidermis. The toxins are superantigens. Ref: Brooks G.F., Carroll K.C., Butel J.S., Morse S.A., Mietzner T.A. (2013). Chapter 13. The Staphylococci. In G.F. Brooks, K.C. Carroll, J.S. Butel, S.A. Morse, T.A. Mietzner (Eds), Jawetz, Melnick, & Adelberg's Medical Microbiology, 26e.